Schwalbe's line forming part of the angle of anterior chamber is the prominent end of:
1. Sclera
2. Descemet's membrane of cornea
3. Anterior limit of trabecular meshwork
4. Posterior limit of trabecular meshwork

Correct answer: 2. Descemet's membrane of cornea

Explanation: Ans. Descemet's membrane of cornea